Tracheostomy reduces dead space by ?
1. By-passing upper airway
2. Increasing V/Q ratio
3. Reducing airflow resistance
4. By all of the above mechanisms

Correct answer: 1. By-passing upper airway

Explanation: Ans. is'a'i.e., By-passing upper airway (Ref: Morgan 4tu/e p. 553) Important effects of tracheostomy on respiratory physiologyTracheostomy decreases dead space as upper airways and nasal cavity are bypassed.Tracheostomy decreases ventilation/perfusion (V/Q) ratio.Tracheostomy reduces the airflow resistance.